A cut injury on wrist causes inability of thumb to touch the tip of little finger, the nerve likely to be damaged is -
1. Ulnar
2. Radial
3. Median
4. Deep branch of ulnar nerve

Correct answer: 3. Median

Explanation: Median nerve supply in hand

Flexor pollicis brevis
Opponens pollicis
Abductor pollicis brevis
First two lumbricals

A torn or cut tendon in the forearm, at the wrist, in the palm, or along the finger will make it impossible to bend one or more joints in a finger. ... Because the nerves to the fingers are also very close to the tendons, a cut may damage them, as well. This will result in numbness on one or both sides of the finger.